Incidence of absent of kidney is
1. 300
2. 1500
3. 3000
4. 5000

Correct answer: 2. 1500

Explanation: (1500) (1305-LB) (1286-B & L 25th)* An absent or grossly atrophic kidney is found in about 1:1400 individuals (1305-LB)* Renal ectopia - In approximately 1:1000 people, the kidney does not ascend, ectopic kidneys are usually found near the pelvic brim (1306-LB)